A 3 year old child has eczematous dermatitis on extensor surfaces. His mother has a history of Bronchial asthma. Diagnosis should be-
1. Atopic dermatitis
2. Contact dermatitis
3. Seborrhic dermatitis
4. Infantile eczematous dermatitis

Correct answer: 1. Atopic dermatitis

Explanation: Atopic dermatitis is a chronic inflammatory skin disease primarily beginning in childhood with a variable natural course with variable rates of remission.symptoms recur or continue till adulthood. Itch is the typical symptom often leads to sleep disturbance and secondary infections. Often associated with asthma and allergic rhinitis. Pathogenesis : defect in skin barrier function, fillagrin defect, altered immunological response. fitzpatrick textbook of dermatology , page 363,9thedition